Which of the following is true regarding enalapril treatment in patients of essential hypertension?
1. Decreased angiotensin II concentration in the blood
2. Decreased concentration of renin in the blood
3. Decreases sodium and increases potassium in the urine
4. All of the above

Correct answer: 1. Decreased angiotensin II concentration in the blood

Explanation: Enalapril is an Angiotensin converting enzyme inhibitor- concentration of Angiotensin II in the blood will decrease.Enalapril may offer certain advantages over captopril:1.) More potent2.) Its absorption is not affected by food.3.) Onset of action is slower (due to need for conversion to active metabolite), less liable to cause abrupt first dose hypotension.4.) Has a longer duration of action: most hypertensives can be treated with single daily dose.5.) Rashes and loss of taste are probably less frequent.